Which is the most common complication during vaginal delivery in diabetic women?
1. Uterine inertia
2. Shoulder dystocia
3. Obstructed labour
4. Post partum haemorrhage

Correct answer: 2. Shoulder dystocia

Explanation: Ans: B (Shoulder dystocia) Ref: Current diagnosis & treatment - Obstetrics and Gynaecology iOth edition pg 316.Explanation:Shoulder dystocia is the most common complication encountered in diabetic women during vaginal del ivery, especially when the baby is niacrosomic.Uterine inertia and PPH can occur if hydramnios is present.Maternal complications of DMAbortionPreterm labourPre eclampsiaPolyhydramnios,Fetal complications of DMHydramniosBig babyShoulder dystociaFetal macrosomiaSacral agenesisAnencephaly and microcephalyVSDNeonatal complicationsHypoglycemia.ARDSHyperbilirubinemiaPolycythemiaHypocalcemia